Dura is supplied by all cranial nerves except -
1. 12
2. 10
3. 5
4. 4

Correct answer: 4. 4

Explanation: "The innervation of the cranial dura mater is derived mainly from the three divisions of the trigeminal nerve, the first three cervical sympathetic trunks. Less well established meningeal branches have been described arising from the vagus and hypoglassal nerves and possibly from the facial and glossopharyngeal nerves "__ Gray's clinical Neuroanatomy